Which of the following is not a characteristic of Fanconi anaemia -
1. Hematologic abnormalities in infancy
2. Pancytopenia
3. Skeletal anomalies
4. Chromosome fragility

Correct answer: 1. Hematologic abnormalities in infancy